White infarcts are seen in all of the following organs, EXCEPT:
1. Heart
2. Kidney
3. Lungs
4. Spleen

Correct answer: 3. Lungs

Explanation: White infarcts occur with arterial occlusions in solid organs with end-arterial circulation (e.g., heart, spleen, and kidney), and where tissue density limits the seepage of blood from adjoining capillary beds into the necrotic area. Ref: Robbins, 8th edition, Chapter 4.